Aviator's fracture involves:
1. Talus
2. Calcaneum
3. Tibia
4. Hip

Correct answer: 1. Talus

Explanation: Aviator's fracture Fracture of neck of the talus